The immunoassay performed in HIV to detect the presence of antibodies to individual viral proteins is
1. NASBA
2. ELISA
3. Western Blot
4. PCR

Correct answer: 3. Western Blot